A 45 year old female complains of progressive weakness and spasticity of the lower limb with difficulty in micturition. CT scan shows an intradural mid dorsal midline enhancing lesion. The likely diagnosis is:
1. Meningioma
2. Intradermal Lipoma
3. Neuroepithelial Cyst
4. Dermoid Cyst

Correct answer: 1. Meningioma

Explanation: Meningiomas are most common primary intracranial tumors which arise from the duramater and more precisely from the arachnoid cells. They are dural based tumors most commonly found adjacent to the venous sinuses and dural infoldings. They are characteristically slightly hyperdense and enhance on contrast administration. The lesion in the question being an intradural enhancing tumor points towards the diagnosis of meningioma. Ref: Microneurosurgery By Mahmut Gazi Ya?argil, Chad D. Abernathey; pages 134 - 138; Ct of the Head and Spine By Norbe Hosten, Thomas Liebig; pages 152 - 156.